All of the following are Utilization rates except
1. Population bed ratio
2. Bed Occupancy rate
3. Bed Turnover ratio
4. Average length of stay

Correct answer: 1. Population bed ratio

Explanation: Heallth Care delivery indicators Health care utilization indicators Doctor-Population ratio Doctor-nurse ratio Population-bed ratio Population per health centre Population per birth attendant % Fully immunized infants % Pregnant women received ANC % Population using contraceptives Bed Occupancy rate Average length of stay Bed turnover ratio Ref: Park 25th edition Pgno: 27